True about subarachnoid block (spinalnesthesia)
1. Cannot be used in infant & children
2. Can be given by unskilled doctor
3. May be used when I.V access is not possible for intravenous drugs
4. Hypotension is most common side-effect

Correct answer: 4. Hypotension is most common side-effect

Explanation: Ans: D (Hypotension...) Note:Due to associated serious complicationsfmany are life threa tening), ft must not be given by unskilled doctorsPreparation for Subarachnoid block(spinal anesthesia) Lee 13th/479# Obtaining venous accessCommencing intravenous infusionf to minimize post spinal hypotension)SUBARACHNOID BLOCKfSPINAL ANESTHESIA) Ajay Yadav 5 th/155-61It is most commonly used anaesthetic technique 3 In adult /eve/ is usually L3-4Indications: orthopaedics surgery, general surgeryfpelvic & perineal), gynecological & obstetrical surgery, urological surgeries etcMost commonly drugs used in India are-xylocaine(lignocaine) & Sensoricaine(bupivacine)Hypotension is most common side-effect. It is managed by preloading & intraoperative fluids & vasopressors. For this good i.v acess is very important Other side-effects & complications are- bradycardia, apnoea, nausea & vomiting, cardiac arrest, high spinal, post spinal headach, meningitis, spinal cord ischemia etcSubarachnoid block(spina! anesthesia) in children Ajay Yadav 5th/161In children it should be given in lower space(L4-5)As children are usually free of haemodynamic side effects therefore preloading is not required till the age of 8 yearsDue to more CSF volume, dose of local anaesthetics required is more & duration of block is less